Which of the following has highest protein content:
1. Mutton
2. Soyabean
3. Egg
4. Milk

Correct answer: 2. Soyabean

Explanation: Soyabean